Autoclaving is done in-
1. Dry air at 121°C and 151 B pressure
2. Steam at 100°C for 30 minutes
3. Steam at 121°C for 15 minutes
4. Dry air at 160°C for 30 minutes

Correct answer: 3. Steam at 121°C for 15 minutes